Gas most commonly used in laparoscopy is
1. CO2
2. SO2
3. N2
4. O2

Correct answer: 1. CO2

Explanation: Ans. is a i.e. CO2 CO2 is the gas used to create pneumoperitoneum during laparoscopy. Other option is N20. But it is expensive, less soluble in blood and supports combustion. Also know : Instrument used for creating pneumoperitoneum is veress needle. Flow Rate of CO2 for creating pneumoperitoneum 200 -- 2000 ml/min and pressure between 15 -- 25 mm of Hg.